Which of the following is not included in Jones major criteria
1. Pancarditis
2. Chorea
3. Subcutaneous nodules
4. High ESR

Correct answer: 4. High ESR

Explanation: Ref Harrison 19 th ed pg 2152 Table:-381-2 Major manifestations Carditis Polyarthritis Chorea Erythema marginatum Subcutaneous nodules